Honey-comb liver is seen in:
1. Micronodular cirrhosis
2. Dubin Johnson's syndrome
3. Actinomycosis
4. Hydatidosis

Correct answer: 3. Actinomycosis

Explanation: Actinomycosis of Liver Most commonly, Actinomyces reaches liver through poan vein Liver is gradually replaced by multiple abscesses, typical Honey comb liver Diagnosis Needle aspiration: Actinomyces in pus Treatment Antibiotic (Penicillin) is the DOC.